Chemical labyrinthectomy by transtympanic route is done in Meniere's disease using which drug-
1. Amikacin
2. Gentamicin
3. Amoxycillin
4. Cyclosporine

Correct answer: 2. Gentamicin

Explanation: Ans. is 'b' i.e., Gentamicin o Has been explained in previous sessions.